Which of the following drugs does not affect absorption and secretion of cerebrospinal fluid?
1. Halothane
2. Nitrous oxide
3. Ketamine
4. Thiopentone sodium

Correct answer: 2. Nitrous oxide

Explanation: Ans. b. Nitrous oxide